True regarding follicular carcinoma of the thyroid
1. Hematogemous spread
2. Commonly multifocal
3. Best prognosis among thyroid malignancies
4. Most common carcinoma of thyroid

Correct answer: 1. Hematogemous spread

Explanation: Multiple foci and lymph node involvement are much less common than in papillary carcinoma. Papillary carcinoma is the most common thyroid malignancy.Blood-borne metastases are more common Mortality rate, although low, is twice that of papillary cancerRef: Bailey and love, page no: 818